In primary open-angle glaucoma pilocarpine eye drops lowers the intraocular pressure by its direct action on the:
1. Trabecular meshwork
2. Ciliary epithelium
3. Longitudinal fibres of the ciliary muscle
4. All of the above

Correct answer: 3. Longitudinal fibres of the ciliary muscle

Explanation: Ans. Longitudinal fibres of the ciliary muscle